In type II gold alloys,  __________  Karat gold is used.
1. 20 K
2. 24 K
3. 18 K
4. 10 K

Correct answer: 1. 20 K

Explanation: Types of dental casting gold alloys 
Dental casting gold alloys 

High carat gold alloy (gold alloys by type) (gold-silver-copper alloys) 
Type 1 - 22K gold alloy
Type 2 - 20K gold alloy
Type 3 - 18K gold alloy
Type 4 - Gold platinum alloy
               14K gold alloy 
Medium carat gold alloy
Low carat gold alloy 

Advances in metallic biomaterials processing & applications pg 262